False about kernicteres is -
1. No long term effect
2. Occurs with bilirubin more than 25 mg %
3. Deposition in basal ganglion
4. Opisthotonus

Correct answer: 1. No long term effect

Explanation: Ans. is 4aT i.e., No long term effect Kernicteruso Also known as bilirubin encephalopathy.o Resulting from deposition of indirect bilirubin in basal ganlion and brain stem nuclei,o Usually appear 2-5 days after birth.o Usually have long term sequale like movement disorder (choreoathetosis, ballismus tremor) sensorineural hearingloss.Clinical Features of kernicterusACUTEFORMPhase 1 (1st 1-2 days): poor sucking, stupor, hypotonia, seizuresPhase 2 (middle of 1 st wk): hypertonia of extensor muscles, opisthotonos, retrocollis, feverPhase 3 (after the 1 st wk): hypertoniaCHRONIC FORMFirst year: hypotonia, active deep tendon reflexes, obligatory tonic neck reflexes, delayed motor skills.After 1st yr: movement disorders (choreoathetosis, ballismus, tremor), upward gaze, sensorineural hearing loss.